Longest acting local anaesthetic drug is?
1. Procaine
2. Prilocaine
3. Lignocaine
4. Bupivacaine

Correct answer: 4. Bupivacaine

Explanation: Ans. (d) BupivacaineRef: Morgan's Anaesthesiology 4/e, p 269